Not transmitted by mite
1. Scabies
2. Scrub typhus
3. Rickettsial pox
4. Kyasanur forest disease

Correct answer: 4. Kyasanur forest disease

Explanation: Ans. is 'd' i.e., Kyanasur Forest disease Mites are the vectors for the following diseases :-Diseases VectorScabies Itch miteScrub Typhus Trombiculid miteRickettsial pox Trombiculid mite.